A convict whose family or relations were not known and no biological sample was available with jail authorities, escaped from the jail. A dead body resembling the convict was found to a nearby forest, but due to the mutilation of the face, identity could not be established. The positive identity that he is the same convict who escaped from jail can be established by -
1. Blood grouping
2. DNA profile
3. Anthropometry
4. HLA typing

Correct answer: 3. Anthropometry

Explanation: In the cited question, because the suspected deceased convict does not have any family relatives, therefore, DNA profiling or HLA typing as a tool of identification is ruled out.
DNA would have been a good tool as a person's DNA contains half of the information from each parent.
Also, because no biological sample is available with the jail authorities, any blood grouping of the victim's body fluids cannot be compared with.
Therefore, the only option left is the victim's anthropometrical measurements like body weight, height, limb lengths, head circumference, etc.